Immunoglobulin present in local secretions is?
1. IgG
2. IgA
3. IgM
4. IgD

Correct answer: 2. IgA

Explanation: ANSWER: (B) IgAREF: Robb in s 8th ed chapter 6See APPENDIX-20 for "IMMUNOGLOBULINS"Repeat (***)IgA is present in body in two forms; serum IgA and secretory IgA.